Myasthenia gravis is which type of hypersensitivity-
1. Type I
2. Type II
3. Type III
4. Type IV

Correct answer: 2. Type II

Explanation: In mystenia grevis antibodies are directed against Ach Receptors so this a type 2 hypersensitivity reaction. 1. Type II cytotoxic reaction is mediated by antibodies directed against antigens on the cell membrane that activates complement thereby causing antibody-mediated destruction of cells. The cell membrane is damaged by a membrane attack complex during activation of the complement. eg:-Stimulation- Grave's disase (LATS), Inhibition - Myasthenia gravis (Anti Ach receptor Ab) 2.Type 1 rxn lead to anaphylaxis. 3. Type 3 rxn.is antigen antibody complex mediated rxn. Myasthenia gravis, an autoimmune disease